Fetal heart starts contracting at-
1. 10-12 days
2. 10-12 weeks
3. 3-5 weeks D. 3- 5 month
4. 3- 5 month

Correct answer: 3. 3-5 weeks D. 3- 5 month

Explanation: The fetal heart starts contracting at approximately 23 days of gestation REF : DUTTA BOOK OF OBESTETRICS